In which of the following conditions postmortem caloricity may be seen in death due to:
1. Massive haemorrhage
2. Cyanide poisoning
3. Corrosive poisoning
4. Septicemia

Correct answer: 4. Septicemia

Explanation: In this condition, the temperature of the body remains raised for the first two hours or so after death. Ref: The Essentials of Forensic Medicine and Toxicology By K S Narayan Reddy, 27th Edition, Pages 136